Memory impairment is most likely to occur in :
1. Downs Syndrome
2. Alkaptonuria
3. Attention deficit disorder
4. Conduct disorder

Correct answer: 1. Downs Syndrome

Explanation: Answer is A (Down's Syndrome) : "Patients with Downs syndrome (Trisomy 21) frequently develop lesions of Alzheimers disease in the third or fourth decade of life." Memory impairment forms an important characteristic of Alzheimer's disease and Down's syndrome thus may be considered as a predictor of memory impairment in later life